Catamite is related to:
1. Rape
2. Bigamy
3. Sodomy
4. Kleptomania

Correct answer: 3. Sodomy

Explanation: Sodomy: is defined as anal intercorse performed by a male with another male/female who may be a child /adult,with or without consent and by force.Also known as BUGGERY. It is laid under Sec 377 I.P.C.the offender is punished with imprisonment for a term of 10 years with fine.Catamite: A passive agent of sodomy when happens to he a young boy is catamite. PASSIVE AGENT is a sodomist male or female who offers the anus and plays a passive role.Ref: The Essential's of forensic Medicine and toxicology, K.S Narayana Reddy, 13th Edition, Page 389.